Rooting reflex is also known as:
1. Error reflex.
2. Hide reflex.
3. Search reflex.
4. None.

Correct answer: 3. Search reflex.